Recurrence rate is highest with which modality of treatment for achalasia cardia -
1. Pneumatic dilatation
2. Botulinum toxin injection
3. Heller's operation
4. Laparoscopic myotomy of sphincter

Correct answer: 2. Botulinum toxin injection